Ebstein's anomaly may be a complication of which drug when used during first trimester of pregnancy:
1. Sodium valproate
2. Lamotrigine
3. Lithium carbonate
4. Carbamazepine

Correct answer: 3. Lithium carbonate

Explanation: Ans. C. Lithium carbonate* Teratogenic effect of Lithium:* cardiac defect - Ebstein anomaly* Apical displacement of septal posterior tricuspid valve (arterialization of right ventricle)